Which type of enzyme is Transaminase?
1. Xidoreductase
2. Isomerase
3. Ligases
4. Transferase

Correct answer: 4. Transferase

Explanation: Transferase- Amino transferase or transaminase, e.g., SGOT (AST) and SGPT (ALT), kinases (Hexokinase glucokinase, pyruvate kinase etc), Transketolases, transaldolases, transcarboxylases